Scrambled egg appearance is seen in:
1. Ca pancreas
2. Ca esophagus
3. Ca urinary bladder
4. Ca prostrate

Correct answer: 1. Ca pancreas

Explanation: Ans: a (Ca pancreas)Scrambled egg appearance is seen in carcinoma pancreas.Other radiological appearances seen in ca pancreas:# Widening of C-loop of duodenum# Indentation of duodenal cap# Double duct sign (medial wall)# Scrambled egg appearance# Rose thorn appearance# Reverse 3(Frostberg) sign